QT prolongation is seen in all,except-
1. Hypothermia
2. Digitalis toxicity
3. Hypocalcemia
4. Romanowand syndrome

Correct answer: 2. Digitalis toxicity

Explanation: The ECG findings of hypothermia include: An "Osborne wave" characterized by a notch in the downward portion of the R wave in the QRS complex and QT prolongation. Low voltage. Bradycardia: This can be sinus bradycardia, junctional bradycardia, atrial fibrillation with a slow ventricular response or higher grade AV blocks. Romano-Ward syndrome is a genetic condition associated with a prolonged QT interval on the ECG. A mutation of the cardiac potassium channel or sodium channel is responsible and can be from one of multiple genetic mutations relating to these channels. Hypocalcemia: The most significant sign is intermittent QT prolongation, or intermittent prolongation of the QTc (corrected QT interval) secondary to a lengthened ST segment. Ref Harrison 20th edition Pg 1456